In which of the following disorders, administration of barbiturate is contraindicated -
1. Anxiety disorder
2. Acute intermittent porphyria
3. Kernicterus
4. Refractory status epilepticus

Correct answer: 2. Acute intermittent porphyria

Explanation: Ans. is 'b' i.e., Acute intermittent porphyria Contraindications o Acute intermittent porphyria o Severe pulmonary insufficiency, eg - emphysema o Liver and kidney disease o Obstructive sleep apnea